Enteric cycle of Toxoplasma gondii occurs in:
1. Rat
2. Cat
3. Cow
4. Sheep

Correct answer: 2. Cat

Explanation: Ans. B i.e. Cat The lifecycle of T. gondii It can be broadly summarized into two components: - A sexual component that occurs only within cats (felids, wild or domestic), and - An asexual component that can occur within virtually all warm-blooded animals, including humans, cats, and birds. Because T. gondii can sexually reproduce only within cats, they are defined as the definitive host of T. gondii. All other hosts - hosts in which only asexual reproduction can occur - are defined as intermediate hosts.